Fungus which affects hair is:
1. Microsporum
2. Trichophyton
3. Both of the above
4. None of the above

Correct answer: 3. Both of the above

Explanation: Ans. C: Both of the above Dermatophyte: This term refers to three specific genera of fungi: Epidermophyton affects skin and nails Trichophyton affects skin, nails and hairs Microsporum affects skin and hair.